Graft from identical twin is defined as:
1. Allograft
2. Isograft
3. Xenograft
4. Autograft

Correct answer: 2. Isograft

Explanation: Ans. (b) Isograft(Ref: Robbins 9th/pg 231-234)Types of grafts QAutografts Q: transplant of individual own organIsograft: Graft from identical twinAllografts Q: between individuals of the same speciesXenografts Q: grafts from one species to another species